Which of the following cytochrome is involved in mono-oxygenase mediated detoxification of drugs?
1. Cyt P 300
2. Cyt P 400
3. Cyt P 450
4. Cyt P 480

Correct answer: 3. Cyt P 450

Explanation: Cyt P450 is involved in the detoxification of drugs and potentially dangerous compounds. The metabolic activity of this enzyme are of 3 types: mono oxygenase activity which result in incorporation of an oxygen atom into the substrate, oxidase activity resulting in formation of superoxide anion radicals or hydrogen peroxide and reductase activity which produce substrate free radical intermediates under anaerobic conditions. Human Cyt P450 2D6 is one of the most important cyt P450 enzyme involved in the metabolism of therapeutic drugs. Ref: Frontiers in Medicinal Chemistry, Volume 2 edited by Atta-ur- Rahman page 572.